A young boy presented with a lesion over his right buttock which had peripheral scaling and central clearing with scarring. The investigation of choice would be:
1. Tzank smear
2. KOH preparation
3. Biopsy
4. Sabourad's agar

Correct answer: 3. Biopsy

Explanation: C i.e. Biopsy